Which of the following anti inflammatory drug is a COX- 2 inhibitor:
1. Aspirin
2. Ketoprofen
3. Rofecoxib
4. Sulidec

Correct answer: 3. Rofecoxib